Cricothyroid muscle is supplied by which nerve?
1. Recurrent laryngeal nerve
2. Internal laryngeal nerve
3. External laryngeal nerve
4. Glossopharyngeal nerve

Correct answer: 3. External laryngeal nerve

Explanation: Ans. is 'c' i.e., External laryngeal nerve Nerve supply of larynx* The main cranial nerve innervating the larynx is the vagus nerve via its branches; superior laryngeal nerve (SLN) and recurrent laryngeal nerve (RLN).Sensory supply of larynx* Above the level of vocal cords, larynx is supplied by internal laryngeal nerve, a branch of superior laryngeal nerve.* Below the vocal cord, larynx is supplied by recurrent laryngeal nerve.Motor supply of larynx* All the intrinsic muscles of larynx are supplied by recurrent laryngeal nerve except for cricothyroid muscle.* Cricothyroid is supplied by external laryngeal nerve, a branch of superior laryngeal nerve.